A patient with microcytic hypochromic anemia, Hb- 9%,serum iron is 20 ?/dl, ferritin level 800 ng/ml, transferrin percentage saturation is 64. What is possible diagnosis?
1. Atransferrinemia
2. Iron defeciency anemia
3. DMT1 mutation
4. Sideroblastic anaemia

Correct answer: 1. Atransferrinemia

Explanation: . Atransferrinemia